What is the recommended schedule for pre exposure prophylaxis for rabies?
1. 0, 3, 7 days
2. 0, 7, 14 days
3. 0, 7, 28 days
4. 0, 3, 7, 14, 21 days

Correct answer: 3. 0, 7, 28 days

Explanation: Persons who have a high risk of exposure to rabies such as staff working with rabies virus, veterinarians should be administered pre exposure prophylaxis against rabies. Such immunization consists of cell culture vaccine administered on days 0, 7 and 28. Ref: Park 21st edition, page 256.